Kimmelsteil -Wilson lesions in kidney consists of-
1. Splitting of glomerular basement membrane
2. Nodular sclerosis of the glomeruli
3. Hyaline sclerosis
4. Hyperplastic arteriosclerosis

Correct answer: 2. Nodular sclerosis of the glomeruli

Explanation: Nodular lesions of diabetic glomerulosclerosis are also called as Kimmelstiel-Wilson (KW) lesions or intercapillary glomerulosclerosis.These lesions are specific for type 1 diabetes (juvenile onset diabetes) or islet cell antibody-positive diabetes mellitus. The pathologic changes consist of one or more nodules in a few or many glomeruli. A nodule is an ovoid or spherical, laminated, hyaline, acellular mass located within a lobule of the glomerulus. The nodules are surrounded peripherally by glomerular capillary loopswhich may have normal or thickened GBM Ref: Harsh Mohan textbook of pathology page 678 6th edition Repeated question.